Investigation of choice of hyper-prolactinemia:
1. TRH estimation
2. LH estimation
3. Prolactin estimation
4. Estradiol estimation

Correct answer: 3. Prolactin estimation

Explanation: Answer is C (Prolactin estimation): Basal fasting morning prolactin levels should be measured to assess hypersecretion - Harrison